Doppler ultrasound, all are true except?
1. Monophasic tracing measure normal flow
2. Provide information about blood velocity
3. Direction of blood flow,
4. Degree of stenosis

Correct answer: 1. Monophasic tracing measure normal flow